Which of the following anti epileptics are cyt p450 enzyme inducers?
1. Phenytoin
2. Phenobarbital
3. Carbamazepine
4. All of the above

Correct answer: 4. All of the above

Explanation: Phenytoin, Phenobarbital , carbamazepine induce cytochrome p450 enzymes and can increase the metabolism of some drugs like carbamazepine, clonazepam, ethosuximide etc Enzyme-inducing drugs such as phenytoin, carbamazepine, oxcarbazepine, topiramate, phenobarbital, and primidone cause a transient and reversible deficiency of vitamin K-dependent clotting factors in ~50% of newborn infants. Although neonatal hemorrhage is uncommon, the mother should be treated with oral vitamin K (20 mg/d, phylloquinone) in the last 2 weeks of pregnancy, and the infant should receive intramuscular vitamin K (1 mg) at birth. Ref harrison 20th edition page 3062, 3063 table no 418-9, p 3068